All of the following drugs are contraindicated in patients with G–6–PD deficiency, EXCEPT:
1. Cotrimoxazole
2. Furazolidone
3. Nalidixic acid
4. Ceftriaxone

Correct answer: 4. Ceftriaxone